Critical obstetric conjugate for trial of labour is:
1. 8.5 cms
2. 9.0 cms
3. 9.5 cms
4. 10.0 cms

Correct answer: 4. 10.0 cms